Most common cause of LVH is -
1. MS
2. AR
3. Hypertension
4. Mitral valve prolapsed

Correct answer: 3. Hypertension

Explanation: Left ventricular hypertrophy is enlargement and thickening (hypertrophy) of the walls of your heart's main pumping chamber (left ventricle). Left ventricular hypertrophy can develop in response to some factor -- such as high blood pressure or a heart condition -- that causes the left ventricle to work harder Ref Davidson 23rd edition pg 472